Basis of division of anatomical segments of liver are all EXCEPT?
1. Hepatic aery
2. Hepatic vein
3. Poal vein
4. Bile duct

Correct answer: 2. Hepatic vein

Explanation: Hepatic vein REF: Keith L. Moore, 4th edition p. 168, Gray's anatomy 39th edition page 1213 L LOBATION AND SEGMENTATION OF LIVERThe liver has four lobes or eight segments, depending on whether it is defined by its architecture. Classification of the liver by internal gross anatomical appearance or by its internal architecture divides it into lobes, segments or sectors. The biliary, hepatic aerial and poal venous supply of the liver tends to follow very similar distributions used to define the hepatic segments. (See figure; bile duct, hepatic aery and poal vein runs together)There are eight liver segments:Segment 4 is sometimes divided into segment 4a and 4b according to Bismuth.The numbering of the segments is in a clockwise manner (figure).Segment 1 (caudate lobe) is located posteriorly. It is not visible on a frontal view.